Which of the following necrosis occurs characteristically in brain infarcts?
1. Caseous necrosis
2. Fibrinoid necrosis
3. Coagulative necrosis
4. Liquefactive necrosis

Correct answer: 4. Liquefactive necrosis

Explanation: CNS parenchymal infarcts organize an influx of macrophages into the area of necrosis. The macrophages ingest the lipid-rich, necrotic parenchyma, ultimately converting the area to a fluid-filled cavity (liquefactive necrosis). This process is usually complete by about 6 months after the development of the infarct.